Amastigote forms are seen in -a) Leishmania donovani b) Toxoplasma gondic) Leishmania majord) Entamoeba
1. a
2. ac
3. ad
4. b

Correct answer: 2. ac

Explanation: Leishmania occurs in two stages
1. Amastigote (Aflagellar stage)

In the R.E. system of vertebrate host (Man, dog and hamster)

2. Promastigote (flagellar stage )
a) In gut of sand fly
b) Artificial culture